Flexor tendon graft repair graft is taken from -
1. Plantaris
2. Palmaris longus
3. Extensordigitorum
4. Extensorindicis

Correct answer: 2. Palmaris longus

Explanation: Ans. is 'b' i.e., Palmaris longus Secondary repair and reconstruction of flexor tendonso If flexor tendons cannot be repaired within the first 10 to 14 days (delayed primary repair), the repair is considered to be secondary repair.o Donor tendons for grafting, in order ofpreference, are the palmaris longus, the plantaris, and the long extensors of the toes. In rare cases, the index extensor digitorum communis, the extensor indicis proprius, and the flexor digitorum sublimis are used.